Which of the following is used in beta–blocker overdose ?
1. Atropine
2. Glucagon
3. Calcium chloride
4. All of these

Correct answer: 4. All of these